SIRS diagnostic criteria. Wrong statement is
1. Band >10%
2. Leucocyte >12000 cells/mm3
3. Respi. rate >20
4. Band <5%

Correct answer: 4. Band <5%

Explanation: Ans. (d) Band <5% style="font-size: 1.04761904761905em; font-family: Times New Roman, Times, serif">(Ref: )The term systemic inflammatory response syndrome (SIRS) describes the host response to a critical illness of infectious or non-infectious causeEvidence of a systemic inflammatory response is indicated by at least two of the following:Fever or hypothermia: core body temperature 38degC or higher or 36degC or lowerTachypnea: 20 breaths/min or more, or need for mechanical ventilation for an acute processTachycardia: heart rate 90 beats/min or more, unless the patient has a preexisting tachycardiaWhite blood cell count: 12,000cells/mm3 or higher, 4,000cells/mm3 or less, or more than 10% bands on differential